Sump syndrome occurs most commonly after:-
1. Cholecystojejunostomy
2. Choledochoduodenostomy
3. Mirizzi's syndrome
4. Choledochojejunostomy

Correct answer: 2. Choledochoduodenostomy

Explanation: Sump syndrome Sump syndrome: particulate matter, stones, and food debris accumulate and stagnat in the distal, "blind" end of the common duct Sump syndrome occurs after choledochoduodenostomy Management Endoscopic management, consisting of sphincterotomy with or without balloon dilation of the anastomosis End-to-side hepaticojejunostomy, Roux-en-Y, to prevent persistent regurgitation of intestinal contents and to remove the "sump" permanently, is preferred surgical procedure.